All of the following statements about mosquito are true except -
1. It is definitive host in malaria
2. It is a definitive host in filaria
3. Its life cycle is completed in 3 weeks
4. The female can travel upto 3 kilometers

Correct answer: 2. It is a definitive host in filaria

Explanation: Man is the definitive host and mosquito is the intermediate host of Bancroftian and Brugian filariasis. Park's Textbook of Preventive and Social Medicine, 25th edition, Page No. 832